Dyskeratosis is feature of all except:
1. Squamous cell carcinoma
2. Bowen's disease and
3. Darier's disease
4. Lichen planus

Correct answer: 4. Lichen planus

Explanation: Dyskeratosis - Abnormality in the process of epidermal cell keratinization. Dyskeratosis occurs in two main contexts Malignant and premalignant epithelial lesions: Squamous cell carcinoma Bowen's disease Paget's disease and Solar keratosis. Benign Acantholytic disorder Darier's disease. In Darier's disease, specific types of dyskeratotic cell include corps ronds ( in lower epidermis) and corp grains (upper epidermis)